The typical feature of interstitial lung disease is -
1. End inspiratory rales
2. Expiratory rales
3. Inspiratory rhonchi
4. Expiratory rhonchi

Correct answer: 1. End inspiratory rales